Thurston Holland sign is seen in-
1. Type I
2. Type II
3. Type III
4. Type IV

Correct answer: 2. Type II

Explanation: widely used classification for physeal injury) It is a transverse fracture through the hypertrophic or calcified zone of plate , but towards the edge the fracture deviates away, from physis &split of triangular metaphyseal segment of bone i.e thurston Holland fragment.